A patient diagnosed with influenza reported onset of symptoms 18 hours ago. Which of the following is the most appropriate treatment for this patient?
1. Amantadine
2. Foscarnet
3. Oseltamivir
4. Ribavirin

Correct answer: 3. Oseltamivir

Explanation: Oseltamivir (c) and zanamivir are the current drugs of choice to treat influenza. Both drugs inhibit the neuraminidase of Influenza virus A and Influenza virus B. Amantadine (a) and its analog rimantadine, drugs that block the M2 channel of Influenza virus A only, are no longer recommended due to widespread resistance among circulating influenza viruses. Foscarnet (b) is used to treat cytomegalovirus infection, ribavirin (d) is used to treat respiratory syncytial virus infection, and zidovudine (e) is an antiretroviral drug used to treat HIV infection.